Which of the following condition respond well with Clonidine?
1. Opiate withdrawal
2. Attention-deficit/hyperactivity disorder
3. Tourette's disorder
4. All of the above

Correct answer: 4. All of the above

Explanation: Ans. D. All of the aboveClinically, clonidine has been useful and effective in a series of medical and psychiatric conditions. Among them are Tourette's disorder, other tic disorders, opiate withdrawal, nicotine withdrawal, autism spectrum disorders, posttraumatic stress disorder (PTSD), and other anxiety disorders. Clonidine was synthesized in the early 1960s and was found to produce vasoconstriction mediated by -receptors. Clonidine is well absorbed after oral administration, and its bioavailability is nearly 100 percent.